The primary difference between MTA and Portland cement is that, MTA:
1. Lacks K
2. Lacks Al
3. Lacks Mg
4. Lacks Fe

Correct answer: 1. Lacks K

Explanation: The primary difference between both types of MTA and Portland cement are a lack of potassium and presence of bismuth oxide. 
White MTA contains lower amount of Fe, Al and Mg than grey MTA.